In ACLS which drug can be given following ventricular fibrillation after cardiac arrest other than epinephrine?
1. Amiodarone
2. Dopamine
3. Adenosine
4. Atropine

Correct answer: 1. Amiodarone

Explanation: V-Fib or VF is the most common rhythm that occurs immediately after cardiac arrest. In this rhythm, the heart beats with rapid, erratic electrical impulses. Treatment: * Shock / Defibrillation: every 2 minutes in a single one shock, successive, shockable increments * 200 joules - Followed by immediate CPR for 2 minutes / give and circulate a drug(s) * 300 joules - Followed by immediate CPR for 2 minutes / give and circulate a drug(s) * 360 joules - Followed by immediate CPR for 2 minutes / give and circulate a drug(s) * Drugs : * Give Epinephrine 1mg of a 1:10,000 solu,on every 3 to 5 minutes * Give either: * Amiodarone : 300mg first dose / 150mg second dose at 3 to 5 minutes increments. Lidocaine: First dose: 1mg/kg or 1.5 mg/kg. Can repeat it at half the original dose up to a total of 3 mg/kg REF : BAILEY AND LOVE 27TH ED